Parasympathetic stimulation of the heart accompanied by a withdrawal of sympathetic tone to most of the blood vessels of the body is characteristic of
1. The fight-or-flight response
2. Vasovagal syncope
3. Exercise
4. The diving response

Correct answer: 2. Vasovagal syncope

Explanation: The fight-or-flight response and exercise are characterized by the increased sympathetic tone and decreased parasympathetic tone.The diving response is associated with increased parasympathetic and sympathetic tone.The cold pressor response is characterized by increased sympathetic activity to the heart and blood vessels.Emotional Fainting--Vasovagal Syncope: An interesting vasodilatory reaction occurs in people who experience intense emotional disturbances that cause fainting. In this case, the muscle vasodilator system becomes activated and, at the same time, the vagal cardioinhibitory center transmits strong signals to the heart to slow the heart rate markedly. The arterial pressure falls rapidly, which reduces blood flow to the brain and causes the person to lose consciousness. This overall effect is called vasovagal syncope. Emotional fainting begins with disturbing thoughts in the cerebral cortex.Ref: Guyton; 13th edition; Chapter 18 Nervous Regulation of the Circulation and Rapid Control of Arterial Pressure